Accidental drowning is ruled out if :
1. The body is tied up inside a gunny bag
2. Hand and feet are tied by a ligature in way that is inconsistent with suicidal drowning
3. Heavy weight are attached in such a way that suicide drowning is excluded
4. All of the above

Correct answer: 4. All of the above

Explanation: D i.e. All Accidental (>suicidal) is the most common type of drowningQ In suicidal drowning body should be free from marks of any injury indicating an assault or struggle (violence)e. In cases of women the body is usually fully dressed and clothes are tied in such a manner that their private parts are not exposed. Sometimes a determined suicide may tie his legs & hands together or attach weights to his body, take poison, or cut throat before immersion. However, it should be examined whether tie could have been made by person himself. - If the body is found with heavy weights attached to it or hand & legs tied with rope, it must be either homicide or suicide and with children homicide alone. Homicidal drowning is very rare except in infants & children. Mark of severe violence applied to head, strangulation, throttling, or bruises are strongly presumptive of homicide. Post moel injuries by fishes, crabs, frogs etc. lack signs of vital reaction.